Xeroderma pigmentation is caused due to a group of closely related abnormalities in:
1. Mismatch repair
2. Base excision repair
3. Nucleotide excision repair
4. Phagosomes

Correct answer: 3. Nucleotide excision repair

Explanation: Nucleotide excision repair